The "hanging drop appearance in the maxillary sinus radiograph indicates:
1. A nasal polyp
2. A blow out # of the orbit
3. A radiograph artifact
4. An antrolith

Correct answer: 2. A blow out # of the orbit